J-receptors which are responsible for rapid shallow breathing are located in
1. Thoracic cage and lung
2. Carotid artery
3. Alveoli-capillary junction
4. Respiratory muscles

Correct answer: 3. Alveoli-capillary junction

Explanation: Juxtacapillary receptors are located at alveoli- capillary junction.